Hand signs of liver cell failure are all except?
1. Palmar erythema
2. Clubbing
3. Dupuytren's contracture
4. Splinter hemorrhages

Correct answer: 4. Splinter hemorrhages

Explanation: The hand manifestations of CLD consist of: Spider naevi (invariably on the upper half of the body), Palmar erythema (mottled redness of the thenar & hypothenar eminences) Dupuytren's contractures Clubbing.